True in alcoholic liver disease
1. Gynaecomastia is a marker of development of portal hypertension
2. ALT:AST ratio >2 is typical of alcoholic liver disease
3. Concomitant HCV infection accelerates development of Cirrhosis
4. Fagenstrom questionnaire is used to diagnose alcohol related problems in a patient

Correct answer: 3. Concomitant HCV infection accelerates development of Cirrhosis

Explanation: Gynaecomastia is a marker of liver cell failure (not portal hypertension). 
 
The AST/ALT ratio is >2 in alcoholism as the ALT levels do not rise as much as AST due to pyridoxyl deficiency in alcohol abuse.  
 
HCV potentiates alcohol related liver damage. 
 
The CAGE questionnaire is used to diagnose alcohol related problems. 
 
Fagenstrom’s questionnaire is used to quantify addiction to nicotine in smokers.